Following are the major symptoms of obsessive compulsive disorders -
1. Contamination
2. Pathological doubts
3. Intrusive thoughts
4. All the above

Correct answer: 4. All the above

Explanation: Ans. is 'd' i.e., All the above o OCD has four major symptom patterns1) Contamination:- Contamination is the most common pattern of an obsession followed by washing (washer). Patients may literally rub the skin of their hands by excessive hand washing. The most common emotional response is anxiety.2) Pathological doubts:- Doubts is the second most common pattern of an obsession, followed by a compulsive checking (checkers). The obsession often implies some danger of violence (e.g., forgetting to turn off the stove or not locking a door). The compulsion (checking) may involve multiple trips back into the house to check the stove or door.3) Intrusive thoughts (Pure obsessions):- In this third most common pattern, there are intrusive obsessional thoughts without a compulsion. Such obsessions are usually repetitious thoughts of a sexual or aggressive act that is reprehensible to the patient.4) Symmetry:- This is the fourth most common pattern in which there is obsession for symmetry or precision, which can lead to compulsion of slowness. Patients can literally take hours to shave their faces or to eat a meal.